Which of the following is a Dihydropteroate synthase (DHPS) inhibitor?
1. Pyrimethamine
2. Trimethoprim
3. Methotrexate
4. Dapsone

Correct answer: 4. Dapsone

Explanation: Dapsone, PAS, Sulphonamide > inhibit DHPS enzyme Pyrimethamine, Methotrexate, Trimethoprim - acts by inhibiting DHFR (Dihydrofolate reductase) enzyme.